Which of the following is seen in median nerve injury-
1. Pointing Index
2. Wristdrop
3. Wartenberg's Sign
4. Regimental badge sign

Correct answer: 1. Pointing Index

Explanation: Ans. is 'a' i.e., Pointing Index * Signs of median nerve palsy :i) Flexion of distal IP joint of thumb is not possible (due to paralysis of FPL).ii) Pointing index or oschner's clasp test: - When patient is asked to clasp his hand, index finger fails to flex.iii) Benediction test: - Patient is unable to flex the index and middle finger on lifting the hand due to paralysis of long flexors of these two fingers (Benedicts Hand).iv) Pen test: - Patient is unable to touch the pen, held above the thumb (due to APB paralysis).v) Ape thumb (Simian thumb) deformity: - The thumb is adducted and laterally rotated so that the thumb lies in the same plane as the other fingers. It is due to over action of adductor pollicis (supplied by ulnar nerve).vi) Loss of opposition due to paralysis of opponens pollicis.vii) Atrophy of thenar eminence.